Which of the following is absent in cryoprecipitate?
1. vWf
2. Factor XIII
3. Factor VIIIc
4. Protein C

Correct answer: 4. Protein C

Explanation: Ans. is 'd' i.e., Protein C * Cryoprecipitate contains fibrinogen, factor VIIIc and vWF, and factor XIII. It is most commonly used in hypofibrinogenemia (e.g. in DIC).* It can also be used in hemophilia A and von-Willebrand disease (but recombinant factor and desmopressin are preferred in these conditions).